Which of the following drugs is used for the prophylaxis of migraine but not for angina pectoris ?
1. Verapamil
2. Diltiazem
3. Flunarizine
4. Amlodipine

Correct answer: 3. Flunarizine